Cardiac abnormality seen with Noonan's syndrome is:
1. VSD
2. ASD
3. Pulmonary stenosis
4. Coarctation of aorta

Correct answer: 3. Pulmonary stenosis

Explanation: Answer is C (Pulmonary stenosis) Pulmonary stenosis is the most common cardiac abnormality in Noonan's syndrome. Turner's syndrome Most common cardiac defect associated is Coarctation of aorta Bicuspid aortic valve Noonan's syndrome Most common cardiac defect associated is Pulmonary valvular stenosis (most common) Hypertrophic cardiomyopathy ASD